All are affected in dementia except -
1. Consciousness
2. Memory
3. Judgment
4. Intellect

Correct answer: 1. Consciousness

Explanation: Ans. is 'a' i.e., Consciousness o Dementia is a progressive generalized impairment of intellectual functions and memory without impairment of consciousness.o Dementia is a chronic organic mental disorder causing disturbances of higher cortical functions (Cortical dementia), except in subcortical dementias. Dementias are characterized by:-1) Impairment of memory:- Memory functions are mostly affected. Recent memory is affected at first with difficulty to learn new material. Later even remote memory is affected. Confabulation is common.2) Impairment of intellectualfunction:- Disorientation (particularly to time), impaired attention & concentration.3) Impairementt of thinking and judgement:- Thinking becomes slower and abstract thinking may be impaired. Delusions and paranoid thoughts may develop.4) Deterioration of personality and personal care - The patient becomes solvently in dress and demenour. Clothes become unkempt and stained and are not worn properly.5) Impairment of language:- There is difficulty in word finding and a reduced functional vocabulary in speech. Perseveration and echolalia can occur.6) Catastrophic reactions:- Some people with dementia overreact to a trivial setback or a minor criticism. This might involve them screaming, shouting, making unreasonable accusations, becoming very agitated or stubborn, or crying or laughing uncontrollably and inappropriately.o Characteristically there is no impairment of consciousness.